The following ocular structure is not derived from surface ectoderm:
1. Crystalline lens
2. Sclera
3. Corneal epithelium
4. Epithelium of lacrimal glands

Correct answer: 2. Sclera

Explanation: B i.e. Sclera Neural crest cells form the mesenchyme of head & neck and contribute to most of the eye including endothelium of cornea & trabecular meshworkQ & stroma of cornea, iris, ciliary body and choroid; melanocytes of conjunctiva & uvea; ciliary muscle ganglion & nerves (Schwann cells); Orbital bones & connective tissue; connective sheath & muscle layer of orbital blood vessels; meningeal sheath of optic nerve, sclera & part of vitreous. All Epithelia (except that of iris & ciliary body), the lens and the Lacrimal & Tarsal glands are derived from the surface ectoderm.Q Melanocytes present in iris stroma develop from neural crest. Sclera is of neural crest and mesodermal originQ Primordial Tissues and its Ocular Derivatives Neural Ectoderm Surface Ectoderm Mesoderm Neural Crest Ciliary (body) epitheliumQ Iris epitheliumQ Smooth muscles of iris i.e. Conjunctival epitheliumQ Corneal Extraocular muscles Vascular Orbital bones Orbital connective tissue Connective tissue sheath & muscular layer of - Constrictor pupillaeQ epitheliumQ endothelium of ocular & orbital blood vessels. - Dilator pupillaeQ Lacrimal glands eye & orbit Ciliary muscles Part of vitreous Tarsal glands Corneal stroma Ciliary ganglion Retinal pigment epitheliumQ lensQ Sclera Schwann cells of ciliary nerves Retina (its nine sensory Iiris Meningeal sheath of optic nerve layers) Choroids Conjunctival & Uveal melanocytes Optic vesicle & cup Part of vitreous Sclera Optic nerve (fibers) Trabecular meshwork endothelium Corneal stroma, keratocytes & endotheliumQ. Iris stroma Choroidal stroma Part of vitreous